Chronic amoebic keratitis is seen in -
1. E. histolytica
2. Acanthamoeba
3. Naegleria
4. Haemoflagellates

Correct answer: 2. Acanthamoeba

Explanation: ACANTHAMOEBA SP Infection can be acquired by inhalation, ingestion or through traumatised skin or eyes, from contaminated water. It presents chiefly as two chronic conditions-- keratitis and encephalitis Chronic amoebic keratitis or keratouveitis, develops from the entry of the amoebic cyst through abrasions on the cornea. The large majority of such cases have been associated with the use of contact lenses. The picture resembles that of severe herpetic keratitis with a slow relapsing course, but the eye is severely painful in the amoebic infection. TEXTBOOK OF MEDICAL PARASITOLOGY,CKJ PANIKER,6TH EDITION,PAGE NO33